Sereny test is positive in -
1. Entero-invasive E.coli
2. Entero-pathogenic E.coli
3. Entero-toxigenic E.coli
4. Entero-aggregative E.coli

Correct answer: 1. Entero-invasive E.coli

Explanation: Ans. is 'a' i.e., Entero-invasive E. coliSereny test is done for EIEC and shigella.In this test, instillation of a suspension of freshly isolated ETEC or shigella into the eyes of guinea pigs leads to mucopurulent conjuctivitis and severe keratitis.